Acute corneal hydrops is seen in:
1. Cornael dystrophy
2. Anterior staphyloma
3. Interstitial keaitis
4. Keratoconus

Correct answer: 4. Keratoconus

Explanation: Ans. D: KeratoconusCorneal hydrops is an uncommon complication seen in patients with keratoconus.It is characterized by significant corneal edema resulting from a spontaneous rupture in Descemet's membrane.Clinical findings include dense stromal and epithelial edema with corneal protrusion, possible conjunctival hyperemia and irregular epithelium secondary to microcystic edema.The location and area of the involved cornea is variable